A child suffering from acute asthma with intermittent bronchospasm is brought to a hospital ER, and oxygen is administered to establish a Pao2>60 mm Hg. Which of the following statements about the further management of this patient is most accurate?
1. Benzodiazepines should be given for sedation.
2. Inhaled steroids are drugs of choice in acute asthma.
3. Frequent high-dose delivery of an inhaled beta2 agonist is indicated.
4. Aminophylline is always used if bronchospasm is present.

Correct answer: 3. Frequent high-dose delivery of an inhaled beta2 agonist is indicated.

Explanation: Inhaled beta, selective agonists are preferred in most cases of acute asthma. IV steroids are also helpful, but inhaled steroids should be avoided because they may cause bronchospasm. Despite anxiety and agitation that frequently accompany acute attacks of asthma, sedatives are not generally recommended because they exert respiratory depressant actions. Zafirlukast, a leukotriene receptor antagonist, is of minimal value in acute asthma. Always avoid answers with the word always.